Prothrombin time is useful for
1. Detection of clot retraction
2. Platelet count
3. In hemophilia
4. For evaluation in a patient taking anticoagulant drugs

Correct answer: 4. For evaluation in a patient taking anticoagulant drugs